After delivery, gonadotropin levels in the neonate
1. Decrease abruptly
2. Rise abruptly
3. No changes
4. Variable

Correct answer: 2. Rise abruptly

Explanation: After delivery, gonadotropin levels in the neonate rise abruptly due to separation from the placenta.